All of the following are DNA viruses Except
1. Parvo virus
2. Paramyxo virus
3. Herpes virus
4. Pox virus

Correct answer: 2. Paramyxo virus

Explanation: Some of the important DNA Viruses1. Adenovirus2. Hepatitis B3. Herpesviridae 4. HPV5. Parvovirus B196. Polyomaviridae 7. Poxviridae Ref: Jawetz, Melnick, & Adelberg's Medical Microbiology; Twenty-Seventh Edition; Selected Medically Important Microorganisms